A 25 years old college student met with road traffic accident and is admitted in casualty. He has marked abdominal distension, pulse rate of 140/minute and a BP of 80/50 mm Hg. The most appropriate initial investigation would be:-
1. Abdominal paracentesis
2. CT abdomen
3. Plain x- ray of abdomen
4. FAST scan

Correct answer: 4. FAST scan

Explanation: Any patient of blunt trauma abdomen - first investigation done is FAST (stable / unstable) After FAST: - If patient unstable - exploratory laparotomy - If patient stable - CECT